Term schizophrenia was coined by
1. Erich muir
2. Sigmund frued
3. Bleular
4. None

Correct answer: 3. Bleular

Explanation: Eugen Bleuler (1911), while renaming dementia praecox as schizophrenia (meaning mental splitting), recognised that this disorder did not always have a poor prognosis as described by Kraepelin. He also recognised that schizophrenia consisted of a group of disorders rather than being a distinct entity. Ref: A Short Textbook of Psychiatry, Niraj Ahuja, 7th Edition, pg. no. 54